Site of transplantation in Islet cell transplant for diabetes mellitus
1. Forearm muscles
2. Pelvis
3. Thigh
4. Injected into the portal vein

Correct answer: 4. Injected into the portal vein

Explanation: • The islets are then purified from the dispersed tissue by density-gradient centrifugation and can be delivered into the recipient liver (the preferred site for transplantation) by injection into the portal vein.